A 50-year-old male presented to orthopedic OPD for regular follow up. He was being treated for an injury as marked (dissected specimen) in forearm in RTA. During examination, Doctor is eliciting the above sign. Patient felt tingling sensation on tapping distal to site of injury. What is the rate of growth of injured structure's stump?
1. 10-15 mm/day
2. 1-3 mm/day
3. 25-30 mm/day
4. None of the above

Correct answer: 2. 1-3 mm/day

Explanation: Tingling sensation on tapping nerve stump is known as Tinel sign. Presence of Tinel sign distal to site of injury indicates nerve stump is regenerating. Nerve stump grows at rate of 1-3 mm/day.